In Apoptosis , cytochrome C acts through
1. Apaf1
2. Bcl-2
3. FADD
4. TNF

Correct answer: 1. Apaf1

Explanation: ref, Robbins 8/e p29,9/e p55